Nerve roots involved in Erb's paralysis -
1. C5, C6
2. C7, C8
3. C8, T1
4. C5 to T1

Correct answer: 1. C5, C6

Explanation: Ans.is 'a'i.e.,C5,C6 o Erb's paralysis - C5C6.o Klumpke's paralysis - C8T1